Causes of bile duct strictures are:a) Bile duct carcinomab) Chronic pancreatitisc) Acute pancreatitisd) Traumae) CBD stone
1. abcd
2. bcde
3. abde
4. ade

Correct answer: 3. abde